Technitium 99 is most commonly used in
1. Cardiology
2. Radiotherapy
3. Radiodiagnosis
4. Nuclear medicine

Correct answer: 4. Nuclear medicine

Explanation: RADIO NUCLIDE IMAGING 99Tc is the most commonly used radiopharmaceutical, for imaging in nuclear medicine.